Wide fixed split S2 occurs in
1. VSD
2. Mitral stenosis
3. ASD
4. Coarctation of aorta

Correct answer: 3. ASD

Explanation: Ref Harrison 19 th ed pg 1447 Fixed splitting of S2 , in which the A2 -P2 interval is wide and does not change during the respiratory cycle, occurs in patients with a secundum atrial septal defect.